Drug of choice for Choriocarcinoma is-
1. Nitrosourea
2. Gemcitabine
3. Methotrexate
4. Melphalan

Correct answer: 3. Methotrexate

Explanation: Ans. is 'c' i.e., Methotrexate o Drug of choice for brain tumors - Nitrosoureas o Drug of choice for pancreatic Ca. - Gemcitabine o Drug of choice for choriocarcinoma - Methotrexate o Drug of choice for multiple myeloma - Melphalan